Corticosteroid which is given by inhalation route is-
1. Prednisolone
2. Beclomethasone
3. Dexamethasone
4. Hydrocortisone

Correct answer: 2. Beclomethasone

Explanation: Ans. is 'b' i.e., Beclomethasone Inhaled steroids are o Beclomethasone o Budesonide o Flunisolide o Fluticasone o Triamcinolone o Ciclesonide